The size of the red blood cells is measured by
1. MCV
2. MCHC tumour
3. ESR tumour
4. MCH

Correct answer: 1. MCV

Explanation: (MCV) (361 - HM) (422- Basic pathology 8th)* Mean corpuscular volume (MCV) =PCV in L/L---------RBC count / L= Normal value is 85 +-8 pg (77 - 93 p1)* Mean corpuscular haemoglobin (MCH) =Hb/L---------RBC count / L= normal range is 29.5 +- 2.5 pg (27 - 32 pg)* Mean corpuscular haemoglobin concentration (MCHC) =Hb/dl-------DCV in L/ L * Normal value is 32.5 +- 2.5 g / dL (30 - 35 g/dL)* Since MCHC is independent of red cell count and size